Mechanism which is responsible for gentamicin ototoxicity is:
1. Accumulation of drug metabolites.
2. Direct hair cell toxicity.
3. Inhibition of Na-K ATPase channels.
4. All of the above.

Correct answer: 2. Direct hair cell toxicity.

Explanation: Ototoxicity involves progressive and irreversible damage to, and eventually destruction of, the sensory cells in the cochlea and vestibular organ of the ear.